Which drug has least extrapyramidal symptoms?
1. Aripiprazole
2. Loxapine
3. Fluphenazine
4. Chlorpromazine

Correct answer: 1. Aripiprazole

Explanation: (Ref: KDT 8th ed. pg. 467)* Among given choice, least risk of EPS among atypicals is: ARIPIPRAZOLE.* Typicals always has high EPS.